Conscious proprioception is transmitted via
1. Dorsal column
2. Ponto-cerebral fibres
3. Anterior spinothalamic tract
4. Lateral spinothalamic tract

Correct answer: 1. Dorsal column

Explanation: (A) Dorsal column > Proprioceptive information is transmitted up the spinal cord in the dorsal column.> Majority of the proprioceptive input goes to the cerebellum but some passes to the cortex also (conscious proprioception). Conscious picture of the body in space is synthesized in the cortex.> There is some evidence that proprioceptive information passes to consciousness in the anterolateral column, also however this in all likelihood will be less important than the dorsal column.> Remember:> Dorsal column transmits:> Touch (fine)> Pressure> Vibration> Joint position sense> Lateral spinothalamic tract transmits:> Pain> Temperature> Anterior spinothalamic tract transmits:> Crude touch, Pressure